Investigation of choice for invasive amebiasis is:
1. Indirect heamagglutination
2. ELISA
3. Counter immune electrophoresis
4. Microscopy

Correct answer: 2. ELISA

Explanation: Answer is B (ELISA) In Extra-intestinal amebiasis, antibody detection by ELISA is the most sensitive test - Ghai 5th/221. ELISA : This test is positive in more than 90% of patients and it usually reverts to normal with in 6-12 months. IHA : May also be done in invasive Amoebiasis or liver abscess. The interpretation of the IHA is however more difficult because titres may remain positive for as long as 10 years.